True about sarcoidosis is all EXCEPT:
1. Bilateral symmetrical hilar adenopathy
2. Arthralgias
3. Strongly positive tuberculin test
4. Increase ACE Levels

Correct answer: 3. Strongly positive tuberculin test

Explanation: Ans. c (Strongly positive tuberculin test) (Ref. Harrison, Principles of Medicine, 18th /Chapter 329. Sarcoidosis)SARCOIDOSIS is the common cause of intrathoracic lymph node enlargement, the hilar nodes being enlarged in almost all cases.The important diagnostic feature of adenopathy (non-caseating) in sarcoidosis is its symmetry.Cervical, epitrochlear, inguinal, adenopathy do not ulcerate.Sr no.Organ affectedManifestations1LungsILD, sarcoidal granulomas, pleural effusion or thickening, atelectasis, cavitations, acinar shadows, large nodules.2HeartCardiomegaly, CHB, PMD, pericardial disease, cor pulmonale, arrythmia3SkinErythema nodosum, lupus pernio, plaques, maculopapular rash, subcutaneous nodules, clubbing.4EyesUveitis, keratoconjuctivitis sicca5BM, spleenAnaemia, neutropenia, eosinophilia, thrombocytopenia, and splenomegaly.6LiverPeriportal area affected, granulomas and granulomatous hepatitis, portal hypertension and jaundice rare.7KidneyHypercalciuria with/without hypercalcemia8ParotidEnlargement and xerostomia9CNS7th cranial nerve palsy, papillodema, meningitis, SOL, etc10MSKBone cysts, punched out lesions, hand and foot arthralgia, and myopathy.